The treatment of choice for bacterial vaginosis is :
1. Clindamycin
2. Erythromycin
3. Ampicillin
4. Metronidazole

Correct answer: 4. Metronidazole